Connecting sinus between cavernous sinus and transverse sinus
1. Superior petrosal sinus.
2. Inferior petrosal sinus.
3. Horizontal sinus
4. Horizontal sinus   Vertical sinus.

Correct answer: 1. Superior petrosal sinus.